A casting may fail to seat on the prepared tooth due to all of the following factors except _____.
1. Temporary cement still on the prepared tooth after the temporary restoration has been removed.
2. Proximal contact(s) of casting too heavy/tight.
3. Undercuts present in prepared tooth.
4. The occlusal of the prepared tooth was underreduced.

Correct answer: 4. The occlusal of the prepared tooth was underreduced.

Explanation: Occlusal reduction would not affect the ability to seat a casting. However, temporary cement, heavy proximal contacts, or tooth undercuts could keep the casting from seating completely.